Reed-sternberg cells are characteristically seen in
1. Alpha-thalassemia
2. Glandular fever
3. Hansan's disease
4. Hodgkin's disease

Correct answer: 4. Hodgkin's disease